A 54–year old obese patient with type 2 diabetes mellitus and a history of alcoholism probably should not receive metformin because it can increase the risk of:
1. Disulfiram like reaction
2. Hypoglycemia
3. Lactic acidosis
4. Severe hepatic toxicity

Correct answer: 3. Lactic acidosis